If a patient with Raynaud's disease immersed his hand in cold water, the hand will -
1. Become red
2. Remain unchanged
3. Turn white
4. Become blue

Correct answer: 3. Turn white